Which is the shortest acting mydriatic:
1. Atropine
2. Tropicamide
3. Cyclopentolate
4. Homatropine

Correct answer: 2. Tropicamide

Explanation: Ans. B i.e. Tropicamide